Corneal epithelium consist of
1. Stratified squamous keratinized
2. Stratifed squamous non keratinized
3. Columnar epithelium
4. Pseudo stratified epithelium

Correct answer: 2. Stratifed squamous non keratinized

Explanation: (B) (Stratified, squamous non keratinized) (390-92-I-B. Singh 7th)Key points of cornea (colour less and avascular but has a very rich nerve supply)1. Stratified squamous, non keratinized corneal epithelium -outermost layer2. Anterior limiting membrane (Bowman's membranes)3. Substantia propri- made up of collagen fibres4. Posterior limiting membrane (Descemet's membrane)5. Posterior cuboidal epithelium* Afferent of corneal reflex-trigeminal nerve. (Ophthalmic branch)* Efferent of corneal reflex-facial nerveDEVELOPMENTMesodermExtra- ocular muscle, comeal stroma. Sclera , iris, vascular endothelium of eye, and orbit, choroid parts of vitreousNeural ectodermSmooth muscle of the iris (Dilator sphineter), optic vesicle and cup, iris epithelium, ciliary epithelium, parts of vitreous, Retina, Retinal pigment epitheliumSurface ectodermConjunctival epithelium, comeal epithelium, Lacrimal glands. Tarsal glands. Lens